First finger loop bureau was established in -
1. London
2. Paris
3. Calcutta
4. Madras

Correct answer: 3. Calcutta